IY1MR vaccine is a type of
1. Killed vaccine
2. Toxoid
3. Live attenuated vaccine
4. Immunoglobulin

Correct answer: 3. Live attenuated vaccine

Explanation: (C) Live attenuated vaccine IMMUNIZING AGENTSLive vaccinesKilled vaccinesBacterialBCGTyphoid Typhoid oralCholera PlaguePertussis C.S. Meningitis PlagueViralOral PolioRabies Yellow fever MeaslesSalk (polio) RubellaInfluenza MumpsHepatitis B InfluenzaJapanese encephalitis Epi. typhusKFD Toxoids BacterialDiphtheria Tetanus